A 55-year-old man complains of anorexia, weight loss, and fatigue. A UGI study demonstrates an ulcerated lesion at the incisura. Where is the incisura?
1. Cardia
2. Fundus
3. Greater curvature
4. Lesser curvature

Correct answer: 4. Lesser curvature

Explanation: The incisura is located at the distal portion of the lesser curvature. It is the point at which the body of the stomach ends and the antrum begins.